Next to HBV, virus implicated in hepatocellular Ca is -
1. HCV
2. Herpes
3. HAV
4. HEV

Correct answer: 1. HCV

Explanation: About 80%of pts progress to chronic hepatitis with some developing cirrhosis and hepatocellular carcinoma REF:ANANTHANARYANAN TEXTBOOK OF MICROBIOLOGY 9EDITION PGNO.548